Which of the following condition is an indication for Chrysotherapy?
1. Rheumatoid arthritis
2. Ankylosing spondylitis
3. Behcet's syndrome
4. Osteoarthritis

Correct answer: 1. Rheumatoid arthritis

Explanation: Chrysotherapy refers to the treatment of rheumatoid arthritis with gold based drugs. Toxicities associated with its use are skin rash, bone marrow supression and proteinuria. Drugs included under the conventional DMARD group of medications are methotrexate, sulfsalazine, gold, antimalarials, leflunomide, azathioprine, penicillamine and minocycline.